A 56 year old man is brought to the emergency department with rapid onset of severe abdominal pain. But physical examination seemed to be out of proportion to his symptom. Acute mesenteric ischemia was diagnosed. What is the MOST common cause of acute mesenteric ischemia?
1. Arterial thrombosis
2. Venous thrombosis
3. Embolism
4. Non occlusive disease

Correct answer: 3. Embolism

Explanation: Acute mesenteric ischemia occurs when prolonged reduction in the splanchnic blood flow occurs. The most common cause is arterial embolism, which accounts for 50% of cases. The emboli most commonly originate from a cardiac source. Most emboli lodge in the superior mesenteric artery (SMA) because of the angle from which it takes off from the aorta. Risk factors for developing the mural thrombi that embolize to the mesenteric arteries include, Myocardial ischemia/infarction Atrial arrhythmias (specifically atrial fibrillation and atrial flutter) Valvular disorders Cardiomyopathies Endocarditis Ventricular aneurysms Ref: Travis A.C., Saltzman J.R. (2012). Chapter 161. Small Bowel Disorders. In G.V. Lawry, S.C. McKean, J. Matloff, J.J. Ross, D.D. Dressler, D.J. Brotman, J.S. Ginsberg (Eds), Principles and Practice of Hospital Medicine.